Myelination in peripheral nervous system is done by
1. Astrocytes
2. Oligodendrocyte
3. Ependymal cells
4. Schwann cells

Correct answer: 4. Schwann cells

Explanation: In PNS myelination is done by schwann cells In CNS myelination is done by oligodendrocytes Ref:Guyton and Hall textbook of medical physiology 12th edition,page number:671,672,673